Empirical drug of choice for treatment of meningococcal meningitis is:-
1. Cefoxitin
2. Ceftriaxone
3. Cefotetan
4. Gentamicin

Correct answer: 2. Ceftriaxone

Explanation: Meningococcal meningitis Doc for empirical T/t - ceftriaxone Definitive T/t - penicillin G Prophylaxis - ceftriaxone (most effective ), for pregnant female Ciprofloxacin (DOC for prophylaxis ,orally given) Rifampicin * Ceftriaxone - currently , most reliable and fastest acting bactericidal drug for enteric fever Uses: * Bacterial meningitis, septicemic, abdominal sepsis * A/E Hypoprothrombinemia &bleeding